"Monday disease" is seen with
1. Calcium channel blockers
2. Benzodiazepines
3. Isosorbide Mono nitrate
4. Chlorpromozine

Correct answer: 3. Isosorbide Mono nitrate

Explanation: Isosorbide Mononitrate is a venodilator, which is associated with Monday disease, where nitrate industry workers gets dizziness & hypotension on Monday, but symptoms disappear by the weekend because of down regulation of enzymes.